Spinal cord develops from ?
1. Neural tube
2. Mesencephalon
3. Rhombencephalon
4. Prosencephalon

Correct answer: 1. Neural tube

Explanation: Ans. is 'a' i.e., Neural tubeNervous system develops from ectoderm (neuroectoderm). Nervous system develops from neural tube which in turn develops by process of neurulation, i.e. formation of neural plate and its infolding into neural tube. Structures formed from neural tube are :? 1. From cranial part (enlarged cephalic part)Gives rise to brain. Developmental parts are :Forebrain (prosencephalon)Telencephalon : Cerebral hemisphere and lateral ventricle.Diencephalon : Optic cup and stalk (gives rise to retina), pituitary, thalamus, hypothalamus, epithalamus, pineal gland, and third ventricle.Midbrain (mesencephalon)Cerebral aqueduct.Hindbrain (rhombencephalon)Metencephalon : Cerebellum, ponsMyelencephalon : Medulla oblongata 2. From caudal partGives rise to spinal cord.